Bacteria acquire characteristics by all the following except
1. Through Plasmids
2. Incorporating part of host DNA
3. Through bacteriophages
4. Through conjugation

Correct answer: 2. Incorporating part of host DNA